Megaloblastic anemia develop in-
1. Sideroblastic anemia
2. Thalassaemia
3. Infants fed on goats milk
4. Vitamin C deficiency

Correct answer: 3. Infants fed on goats milk

Explanation: Ans. is 'c' i.e., Infants on good milk o Folic acid deficiency causes megaloblastic anemia. o Human breast milk, pasteurized Cow's milk, and infant formulas provide adequate amount of folic acid. o Goat's milk is deficient in folic acid.